Shunt surgery of choice for treatment of hydrocephalus in children is?
1. Ventriculo-pleural shunt
2. Ventriculo-atrial shunt
3. Ventriculo-peritoneal shunt
4. Ventriculo-pericardial shunt

Correct answer: 3. Ventriculo-peritoneal shunt

Explanation: Ventriculo-peritoneal shunt is the Shunt surgery of choice for treatment of hydrocephalus in children.